Which of the following is not true about anti fungal drugs
1. Amphotercin B is given only parenteralky
2. Griesofulvin is effective orally
3. Cyclopirox olamine is effective in systemic mycosis
4. Flucanazole is effective orally as well as iv

Correct answer: 3. Cyclopirox olamine is effective in systemic mycosis

Explanation: Amphotercin B is the drug of choice for most serious systemic infectiions but it has to be admistered parenterally Griesofulvin is the drug that is used for treatment of dermatophytosis by oral route Flucanazole Cam be used orally as well as parentarally Cyclopirox olamine is used only topically for mild fungal infections Refer KDT 6/e 766